Spleenic injury is diagnosed on X–ray by – a) Half stomach shadowb) Obliteration of spleenic shadowc) Rib fractured) Gas under diaphragm
1. a
2. c
3. bc
4. ad

Correct answer: 3. bc

Explanation: Signs of spleenic rupture on plain X-ray are :- Obliteration of spleenic outline, loss of psoas outline, fracture of lower ribs on left side, elevation of left hemidiaphragm, indentation of gastric air bubble.